Pyriform sinus is laterally bounded by what ?
1. Interarytenoid artery
2. Thyroid artery
3. Epiglottis
4. Thyrohyoid membrane

Correct answer: 4. Thyrohyoid membrane

Explanation: Ans. is `d' i.e., Thyrohyoid membrane It lies on either side of the larynx and extends from pharyngoepiglottic fold to the upper end of esophagus. ? It is bounded by :- i) Superiorly - Pharyngoepiglottic folds ii) Inferiorly - Lower border of cricoid iii) Laterally - Thyrohyoid membrane and thyroid cartilage iv) Medially - Aryepiglottic fold Posterolateral surface of arytenoids and cricoid cartilages